Most common presentation of wilm's tumor -
1. Hematuria
2. Asymptomatic abdominal mass
3. Abdominal pain
4. Headache

Correct answer: 2. Asymptomatic abdominal mass

Explanation: Ans. is 'b' i.e., Asymptomatic abdominal massWilm's tumor (Nephroblastoma)o Most common malignant tumor of kidney, o 80% of tumor present below 5 year of age.Presentiono Asymptomatic abdominal mass(M.C.).o Haematuria (10-25%).o Hypertension (25%).o Abdominal pain (30%).o Fever (20%).